Central tendon of diaphragm develops from?
1. Septum transversum
2. Pleuroperitoneal membranes
3. Dorsal mesentery of the esophagus
4. Body wall

Correct answer: 1. Septum transversum

Explanation: Development Septum tranversum forms the central tendon Pleuroperitoneal membranes form the dorsal paired portion Lateral thoracic wall contribute to the circumferential portion of the diaphragm Dorsal mesentery of oesophagus forms the dorsal unpaired portion BD CHOURASYA'S HUMAN ANATOMY VOLUME 2page no:334